Most common joint to undergo recurrent dislocation is ?
1. Shoulder joint
2. Patella
3. Knee joint
4. Hip joint

Correct answer: 1. Shoulder joint

Explanation: Shoulder joint is the commonest joint to undergo dislocation.it occurs commonly in adults and rare in children. Anterior dislocation is common than posterior dislocation. Shoulder instability is term used when head of humerus is not stable within the glenoid. The instability may be uni or bidirectional. The instability can be in many directions-multi directional. A fall on out stretched hand with shoulder abducted and externally rotated is common mechanism of injury. Ref: Essential Orthopaedics, Maheswari & Mhaskar, 9th ed Page no: 89